Inhalational anesthetic agents effect on respiratory tract all true except-
1. The volatile anaesthetic agents relax airway smooth muscle
2. They blunt respiratory drive
3. Supress respiratory centre
4. They increases ciliary movement

Correct answer: 4. They increases ciliary movement

Explanation: Potent inhalational agents and N2O reduce ciliary movement and clearance of mucus. The inadequate clearing of mucus may result in plugging, atelectasis and hypoxia. other effects on respiratory system 1. depress respiratory centre 2. blunt hypoxic and hypercapnic drive 3. bronchodilatation 4. inhibits hypoxic pulmonary vasoconstriction